Cardiotoxicity is the side effect of
1. Bleomycin
2. Topotecan
3. Rubidomycin
4. Procarbazine

Correct answer: 3. Rubidomycin

Explanation: Ans. is 'c' i.e., Rubidomycin Anthracycline induced cardiotoxicity* Rubidomycin and doxorubicin are the anthracycline anti - tumor antibiotics* They have cardiotoxicity as a adverse effect.* This can manifest either acutely with ECG changes, arrhythmias and hypotension, which are reversible, or be delayed like CHF.* CHF is due to cardiomyopathy and may be fatal.* To prevent the chances of anthracycline induced cardiomyopathy, antioxidants like dexrazone can be used.